A primigravida in the first trimester was observed to be sputum positive for acid-fast bacilli. She had no previous history of tuberculosis. Which of the following should be the treatment strategy -
1. Category I DOTS
2. Category II DOTS
3. Category III DOTS
4. Defer treatment 3

Correct answer: 1. Category I DOTS